Amnion is made up of
1. amniogenic cells+splanchnopleuric cells
2. amniogenic cells+somatopleuric cells
3. primary yolk cells+somatopleuric cells
4. primary yolk sac +splanchnopleuric cells

Correct answer: 2. amniogenic cells+somatopleuric cells

Explanation: Amnion is made up of Amniogenic cells+ Somatopleuric cells